The ability of a test to detect true negatives is:
1. Sensitivity
2. Specificity
3. PPV
4. NPV

Correct answer: 2. Specificity

Explanation: Ref: 21st edition Park. Pg 128Explanation:SensitivityAbility of the test to identify true positivesSpecificityAbility of the test to identify true negativesPositive predictive valueProbability that a patient with positive test result truly has the diseaseNegative predictive valueProbability that a patient with negative test result truly does not have the disease